Thiamine deficiency is known to occur in all of the following except:
1. Food Faddist
2. Homocystinemia
3. Chronic alcoholic
4. Chronic heart failure patient on diuretics

Correct answer: 2. Homocystinemia

Explanation: Answer is B (Homocystinemia): All options other than homocyctinemia have been clearly mentioned as causes of thiamine deficiency. Causes of thiamine deficiency -Harrison Malnutrition Dietry habits particularly in the far-east where polished rice e deficient in thiamine is the major dietry component. Alcoholics and food faddists c):In western nations the wide spread use of thiamine enriched flour limits the presence of cleliciency primarily to alcoholic andPod faddists - Harrison 15th/ 14th Chronic heart failure (): The measurement of thiamine pyrophosphate effect can biochemically quantitate thiamine stores. An elevated TPPE indicative of thiamine deficiency has been found in 20 to 90% of patients with chronic heart failure. The deficiency appears to result from both, reduced dietry intake and a diuretic induced increase in urinary excretion of thiamine - Harrison